Stimulates the synthesis of milk proteins.
1. LH
2. PRL
3. TSH
4. GH

Correct answer: 2. PRL

Explanation: PRL is the only hormone listed that stimulates the synthesis of milk proteins. PRL will induce a-lactalbumin, which will stimulate lactose production.